A newborn developed periventricular leukomalacia following ischemic infarction. What can be the most common sequelae in this child?
1. Spastic diplegia
2. Spastic quadriplegia
3. Hypotonia
4. Intellectual disability

Correct answer: 1. Spastic diplegia

Explanation: Periventricular leukomalacia are zones of necrosis of white matter in the deep territories of cortical and central arteries. They lie lateral and posterolateral to the lateral ventricles, in a position to involve the occipital radiations and the sensorimotor fibers in the corona radiata. Survivors often manifest cerebral hemiplegia or diplegia and variable degrees of mental impairment. The motor disorder is usually more severe than the cognitive and language impairment. Ref: Ropper A.H., Samuels M.A. (2009). Chapter 38. Developmental Diseases of the Nervous System. In A.H. Ropper, M.A. Samuels (Eds), Adams and Victor's Principles of Neurology, 9e.